Which is the most specific clinical feature for diagnosis for Kwashiorkor?
1. Fatty liver
2. Easy pluckable hair
3. Low serum albumin
4. Edema

Correct answer: 4. Edema

Explanation: Kwashiorkor is primarily a clinical diagnosis. There is no specific diagnostic test for the condition. Edema is the defining characteristic. MARASMUS - Severe malnutrition without EDEMA KWASHIORKOR - Severe malnutrition with EDEMA